Drug used for sexual arousal is?
1. SSRI
2. Beta blocker
3. Alfa 2 antagonist
4. Alfa 1 antagonist

Correct answer: 3. Alfa 2 antagonist

Explanation: Ans. (c) Alfa 2 antagonistRef: KDT 6/e, p 119, 12, 135